Neurofibromatosis 1 criteria except
1. Brain tumor
2. Acoustic neuromas
3. Pseudoarthrosis
4. Café-au-lait spots

Correct answer: 2. Acoustic neuromas

Explanation: Ref. API Textbook of Medicine. Pg. 219